What is the numerator in the calculation the sensitivity of a test
1. True-Positive
2. true-negative
3. False-Positive
4. False-Negative

Correct answer: 1. True-Positive

Explanation: Sensitivity = number of true positives / number of true positives + number of false negativesSpecificity = number of true negatives / number of true negatives + number of false positives